The proteins found in attachment plaque
1. Albumin and globulin
2. Amelogenin and enamelin
3. Sialoproteins
4. Desmoplakin and plakoglobin

Correct answer: 4. Desmoplakin and plakoglobin